Schedule-3 of MCI includes-
1. MBBS degree of indian universities
2. DNB degree
3. Diploma of CPS
4. MBBS degree of foreign universities

Correct answer: 3. Diploma of CPS

Explanation: Ans. is 'c' i.e., Diploma of CPS Schedules of MCI Act MCI was established in 1934 and MCI act was revised in 1956, 1964, 1993, 1999, and 2002. The schedules of MCI includes list of medical degrees recognized by MCI :- Schedule 1 :- Includes list of recognised degrees awarded by Indian universities(' ") and also DNB awarded by National Board of Examination, New Delhi. Schedule 2 :- Includes list of recognized medical degrees awarded by foreign universitiesorob'. Schedule 3 :- Includes list of medical qualifications awarded by Indian or foreign boards or societies, but are not included in schedule 1 or 2. It has two parts :? Part I : Includes list of recognized degrees other than MBBS awarded by Indian Societies and Boards, e.g LMP and diploma of CPS. Part II: Includes list of recognized degrees other than MBBS awarded by Foreign Societies and Boards